Which of the following is a lipoxygenase inhibitor:
1. Montelukast
2. Thromboxanes
3. Zileuton
4. Sodium cromoglycate

Correct answer: 3. Zileuton

Explanation: Ans: C i.e. Zileuton Drugs and mechanism of action Montelukast competitively antagonize cysLT1 receptor mediated bronchoconstriction, increased vascular permeability and recruitment of eosinophils. Thromboxane acts by binding to any of the thromboxane receptors, G protein coupled receptors coupled to G-protein Gq. Zileuton is a 5 lipo-oxygenase inhibitor, blocks LT C4/ D4 as well as LTB4 synthesis. Sodium cromoglycate inhibits degranulation of mast cells. The basis of this effect is not well understood, but may involve a delayed chloride channel in the membrane of these cells.